About lidocaine, all are true except -
1. LA effect
2. Cardiac arrhythmia
3. Ester
4. Acts on mucous membranes

Correct answer: 3. Ester

Explanation: lidocaine is amide linked local anaesthetic It can be used as surface anesthetic agent through skin and mucucous membrane lidocaine is an antiarrhythmic used intravenously to treat VT and prevent VF. It act by blocking both open and closed cardiac sodium channel